The anti fungal drug which is NOT an Azole
1. Ketoconazole
2. Mebendazole
3. Miconazole
4. Voriconazole

Correct answer: 2. Mebendazole

Explanation: (B) Mebendazole> Albendazole, Mebandazole belong to benzimidazole class of anti helminthics.# CLASSIFICATION:1. Antibiotics:A. Polyenes:AmphotericinB (AMB),Nystatin, Hamycin, Natamycin (Pimaricin)B. Heterocyclic benzofuran: Griseofulvin2. Antimetabolite Flucytosine (5-FC)3. Azofes:A. Imidazoles (topical): Clotrimazole, Econazole, Miconazole, Oxiconazole (systemic): KetoconazoleB. Triazoles (systemic): Fluconazole, Itraconazole, Voriconazole4. Allylamine Terbinafine5. Other topical agents: Tolnaftate, Undecylenicacid, Benzoic acid, Quiniodochlor, Ciclopirox olamine, Butenafine, Sodium thiosulfate.